Seen in Colles A/E:
1. Proximal shift
2. Dorsal tilt
3. Lateral tilt
4. Pronation

Correct answer: 4. Pronation

Explanation: D i.e. Pronation